Which contraceptive helps in preventing carcinoma cervix :
1. Barrier contraceptive
2. Intra cervical device
3. Intra uterine contraceptive device
4. Oral pill

Correct answer: 1. Barrier contraceptive

Explanation: Barrier contraceptive